Main pancreatic duct is derived from:
1. Partly from the dorsal pancreatic bud and partly from the ventral pancreatic bud
2. Dorsal pancreatic bud only
3. Ventral pancreatic bud only
4. None of the above

Correct answer: 1. Partly from the dorsal pancreatic bud and partly from the ventral pancreatic bud

Explanation: The pancreas develops from the two endodermal buds, dorsal and ventral, that arise from the part of the gut that later forms the second part of the duodenum. The ventral bud forms the lower part of the head, and the uncinate process of the pancreas, while the upper part of the head, the body and the tail are formed from the dorsal bud. The main pancreatic duct is formed, in its distal part, by the duct of dorsal bud, and in its proximal part by the duct of the ventral bud. The islets of Langerhans are also derived from the primitive duct system. Ref: Textbook of Human Embryology, 6th Ed, Page 184.